Guthrie test can be used for the diagnosis of:
1. Tyrosinemia
2. Galactosemia
3. Alkaptonuria
4. Phenylketonuria

Correct answer: 4. Phenylketonuria

Explanation: The bacterial inhibition assay of Guthrie is used for Phenylketonuria. Tyrosinemia- | serum AFP & succinyl acetone in serum & urine Galactosemia- urine: positive Benedict test Alkaptonuria- Gas chromatography & mass spectrometry (GCMS)